Effective literacy rate is calculated from-
1. Those above age of 7 years
2. Those who have completed 10 year schooling
3. Those who have completed 15 year schooling
4. Total population

Correct answer: 1. Those above age of 7 years

Explanation: Literacy rate 

The term literacy rate is used for the population relating to seven years age & above.
A person is defined as literate if she or he can read and write with understanding any language.
A person who can merely read but cannot write is not considered literate.
Kerala has the highest literacy rate.
Bihar and Arunachal Pradesh have the lowest literacy rate.
Government of India has made education compulsory up to the age of 14 years.

According to 22nd /e of Park

The literacy rate in India → 74.04 (2011)
Male literacy rate → 82.14
Female literacy rate → 65.46